A 42-year-old woman with benign ovarian tumor presents with ascites and breathlessness. CXR is performed. The clinical diagnosis is?
1. Meigs syndrome
2. Dressier syndrome
3. Budd-Chiari syndrome
4. Cholangiocarcinoma

Correct answer: 1. Meigs syndrome

Explanation: Ans. A Meigs syndromeRef: CMDT 2019 page 323* The CXR shows presence of right sided pleural effusion along with history of ascites and a benign ovarian tumor. This a triad seen in Meigs syndrome.* Choice B is seen in post MI patients* Choice C leads to acute onset ascites and right upper quadrant pain* Choice D leads to obstructive jaundice and cachexia.